Uni directional flow of a nerve impulse is at
1. Synapse
2. Axon
3. Dendrites
4. Node of Ranvier

Correct answer: 1. Synapse

Explanation: In the nervous system, a synapse is a structure that permits a neuron (or nerve cell) to pass an electrical or chemical signal to another neuron or to the target effector cell. Ref: guyton and hall textbook of medical physiology 12 edition page number: 675,676,677